Behcet's disease is characterised by all of the following except:
1. Unilateral granulomatous uveitis
2. Recurrent hypopyon
3. Aphthous ulceration
4. Genital ulcerations

Correct answer: 1. Unilateral granulomatous uveitis

Explanation: Ans. Unilateral granulomatous uveitis